Painless sudden visual loss is seen in all except
1. CRAO
2. Retinal detachment
3. Vitreous hemorrhage
4. Angle closure glaucoma

Correct answer: 4. Angle closure glaucoma

Explanation: D i.e. Angle closure glaucoma Angle closure glaucoma is a cause of painful, not painless loss of visionS2